Aspirated synovial fluid in septic arthritis will have-
1. Clear color
2. High viscosity
3. Markedly increased polymorphonuclear leukocytes
4. None of the above

Correct answer: 3. Markedly increased polymorphonuclear leukocytes

Explanation: Ans. is 'c' i.e., Markedly increased polymorphonuclear leukocytes Non-inflammatory (type I)Inflammatory (type II)Septic (type III)Hemorrhagic (type IV)AppearanceYellowYellowPurulentBloodyClarityClearCloudyOpaqueOpaqueViscocityHighDecreasedDecreasedVariableCell count200-2000 (<25% PMNs)2000-75000 (>50% PMNs)>80000 (> 80% PMNs)RBC >>WBCExampleOsteoarthritis Trauma OsteonecrosisRA Reiter's syndrome SLE Gout & pseudogout Fungal arthritis TB arthritis Viral arthritisBacterial arthritisTrauma Fracture Ligament tear Hemophilia PVNS Charcot's arthritis